Cingulotomy is used to treat
1. Parkinsonism
2. Schizophrenia
3. OCD
4. Autism

Correct answer: 3. OCD

Explanation: Cingulotomy and Capsulotomy are the psychosurgical techniques that can be used in the treatment of OCD.